Diaphragm develops from all except :
1. Septum transervsum
2. Dorsal merocaldium
3. Pleuro - peritoneal membrane
4. Cervical myotomes

Correct answer: 2. Dorsal merocaldium

Explanation: Dorsal merocaardium - forms transverse sinus.
Muscular ingrowth from body wall is contributed by cervical somiks C3 - C5.